Choice of intubation in Bilateral TMJ ankylosis for oral surgeries
1. North pole Rae tube
2. South Pole Rae tube
3. Tracheostomy
4. Cricothyrotomy

Correct answer: 1. North pole Rae tube

Explanation: Intubation is generally done with the help of endotracheal tube (ETT). The internal diameter of ETT used ranges between 3 and 8 mm depending on the age, sex, and size of nares of the patient. Potex north and south polar performed Rae tubes (RAE- right angled ETT) and flexo- metallic tubes are commonly used. Out of them, North Pole Rae tube is preferred in case of ankylosis patient due to the direction of the curve of ETT which favors its placement in restricted mouth opening as in case of ankylosis.